A nursing mother presented with fever and breast tenderness after two weeks postpartum. Which oral antibiotic is ideal for her condition
1. Ceftazidime
2. Dicloxacillin
3. Ciprofloxacin
4. Ampicillin

Correct answer: 2. Dicloxacillin

Explanation: * Peurperal Mastitis is a skin & soft tissue infection caused by Staphylococcus aureus that occurs in 1-3% of nursing mothers after 2-3 weeks postpartum. * It presents with features ranging from signs of local breast inflammation (cellulitis to abscess) associated with systemic signs of fever, chills, malaise, anorexia, lethargy, etc. in severe cases. * Dicloxacillin is an acid stable beta-lactamase resistant anti-Staphylococcal Penicillin - the preferred treatment choice for penicillinase-producing Staphylococcus aureus and Staphylococcus epidermidis that are not methicillin resistant. Ref:- Harrisons Principles of Internal Medicine 20th Ed; Pg Num:-1079